All are true about antemortem contusion except?
1. Sequential color change
2. No inflammation
3. Raized enzyme levels
4. Blood cells in surrounding tissueAccidendal

Correct answer: 2. No inflammation

Explanation: Ans. is 'b' i.e., No inflammation